Double stranded RNA is seen in -
1. Reovirus
2. Adenovirus
3. Parvovirus
4. Retrovirus

Correct answer: 1. Reovirus

Explanation: In reoviruses the double stranded RNA is transcribed into mRNA by viral polymerase REF:ANANTHANARAYAN AND PANIKER'S TEXTBOIK OF MICROBIOLOGY 9TH EDITION PAGE NO:433